Which enzyme converts androgen to estrogen?-
1. Cholesterol Desmolase
2. Aromatase
3. 11 b hydroxylase
4. 21 b hydroxylase

Correct answer: 2. Aromatase

Explanation: Ans. is 'b' i.e., Aromatase* Aromatase is an enzyme located in the endoplasmic reticulum of gonads, adipose tissue and placenta* It helps in the conversion of androgen into estrogen. It converts androstenedione to estrone and testosterone to estradiol* This conversion is done by three successive hydroxylation and by removal of methyl group as formate and by aromatization of the A ring